A child presents with swelling in the right groin region. When this selling was reduced by hand, a gurgling sound was heard and the swelling reduced. Which of the following is a true statement in relation to the above?
1. The child has right direct hernia
2. The processus vaginalis has been completely obliterated
3. Hernial sac contains greater omentum only
4. Hernial sac contains intestine

Correct answer: 4. Hernial sac contains intestine

Explanation: Ans. (d) Hernial sac contains intestineRef: Bailey 26th edition Page 930* Hernial sac containing Intestine will reduce with gurgling sound, Initial part will be difficult to reduce in Enterocele.* Hernial sac containing Omentum will be Easy to reduce initially but difficult to reduce the last part. (Omentocele)* In children Hernia is due to Persistent Processus Vaginalis.* In children mostly Indirect hernia is only seen. Only congenital direct hernia is Ogilvie's hernia